Which dental tissue doesn't contain nerves?
1. Bone
2. Dentin
3. Cementum
4. Pulp

Correct answer: 3. Cementum